Superficial inguinal ring is a defect in the:
1. Internal oblique aponeurosis
2. External oblique aponeurosis
3. Transverse abdominis aponeurosis
4. Internal oblique muscle

Correct answer: 2. External oblique aponeurosis

Explanation: The inguinal canal is an oblique passage through the lower part of the anterior abdominal wall.The canal is about 1.5 in. (4 cm) long in the adult and extends from the deep inguinal ring, a hole in the fascia transversalis, downward and medially to the superficial inguinal ring, a hole in the aponeurosis of the external oblique muscle. In the males, it allows structures to pass to and from the testis to the abdomen.In females it allows the round ligament of the uterus to pass from the uterus to the labium majus.